A 34-year-old woman presents to the clinic for evaluation of new symptoms of a red rash over her cheeks, frequent oral ulcers, and pain and swelling in both wrists, as well as in several small joints in her hands. Medical evaluation confirms the above clinical symptoms and laboratory investigations reveal a positive ANA, and 3+ proteinuria. Which of the following organ involvement will cause the most symptoms during the course of this disease?
1. renal pathology
2. cardiopulmonary pathology
3. musculoskeletal pathology
4. thrombotic events

Correct answer: 3. musculoskeletal pathology

Explanation: About 95% of patients will develop musculoskeletal symptoms during the course of SLE. Arthralgias and myalgias predominate, but arthritis, hand deformities, myopathy, and avascular necrosis of bone also occur. About 85% of patients will have hematologic disease and 80% will have skin manifestations.